Cottons fracture is fracture of
1. Foot
2. Knee
3. Ankle
4. Hip

Correct answer: 3. Ankle

Explanation: Ankle